Danaparoid is absent of
1. Chondroitin sulfate
2. Chitin
3. Dermatan sulphate
4. Heparan sulphate

Correct answer: 2. Chitin

Explanation: Danaparoid is a low molecular weight (LMW) and chondroitin sulfate. A natural